Blood buffers are:
1. Bicarbonate
2. Plasma proteins
3. Hemoglobin
4. All

Correct answer: 4. All

Explanation: A i.e. Bicarbone; B i.e. Plasma Proteins; C i.e.Hemoglobin